Taxonomically chamydia is a ?
1. Bacteria
2. Virus
3. Fungus
4. Nematode

Correct answer: 1. Bacteria

Explanation: Ans. is 'a' i.e., Bacteria Chlamydiae . Chlamydiae are obligate intracellullar bacterial parasite of humans, animals and birds with tropism for squamous epithelial cells and macrophages of the respiratory and gastrointestinal tracts. . Due to their filterability and failure to grow in cell free medium, they were considered to be viruses. However, they differ from viruses in many respects. Chlamydiae Viruses * Possess both DNA and RNA . Either DNA or RNA . Have cell wall and ribosomes . Lack enzymes for protein/nucleic acid synthesis . Obligate intracellular parasites . Obligate intracellular parasites . Multiply by binary fission . Multiply by complex process (not by binary fission). . Susceptible to useful antibiotics and chemotherapeutic agents. . Unaffected by antibacterial antibiotics.